Field defect seen in papilloedema
1. Seidel's scotoma
2. Constriction of peripheral fields
3. Centro-caecal scotoma
4. Altitudinal hemianopia

Correct answer: 2. Constriction of peripheral fields

Explanation: In papilloedema, as the condition progresses vision worsens with an enlargement of the blind spot owing to separation of the retina around the disc by the oedema and a progressive contraction of the visual field due to atrophy of the optic nerve. Ref: Parson's 22 nd edition, page no. 352